6th day disease is?
1. Erythema Infectiosum
2. Exanthema subitum
3. Erythema marginatum
4. Erythema nodosum

Correct answer: 2. Exanthema subitum

Explanation: Terminology Other names for the disease Etiology First disease Rubeola/ measles Measles virus Second disease Scarlet fever Streptococcus pyogenes Third disease Rubella/German measles/3- day measles Rubella virus Fourth disease Staphylococcal scalded skin syndrome/Ritter's disease Staphylococcus aureus Fifth diseases Erythema infectiosum Parvovirus B19 Sixth disease Exanthem subitum/ Roseola infantum Human Herpes Virus 6 or 7